Hypokalemia in an infant may be due to all of the following except –
1. Adrenal tumor
2. Acute renal failure
3. Thiazide therapy
4. Diarrhea

Correct answer: 2. Acute renal failure

Explanation: Hypokalemia

Hypokalemia is defined as serum potassium values of less than 3.5 meq/L.